Motility difference according to the temperature changes is shown by ?
1. Vibrio
2. Leptospira
3. Clamydia
4. Listeria

Correct answer: 4. Listeria